Most serious complication of myelogram is
1. Allergy
2. Transient neurological deficit
3. Headache
4. Arachnoiditis

Correct answer: 4. Arachnoiditis

Explanation: Ans. Arachnoiditis